True about compartment syndrome is
1. Common in open lower limb fractures
2. Absence of pulses is an early sign
3. Never seen in open injuries
4. Pain on passive movement

Correct answer: 4. Pain on passive movement

Explanation: Compartment syndromes typically occur in closed lower limb injuries. They are characterised by severe pain, pain on passivemovement of the affected compartment muscles, distal sensory disturbance and, finally, by the absence of pulses distally(a late sign). They can occur with an open injury if the wound does not extend into the affected compartment. Bailey and Love 27e pg: 28